The following are the contraindications of BAL except:
1. G6PD deficiency
2. Iron poisoning
3. Cadmium poisoning
4. Gold poisoning

Correct answer: 4. Gold poisoning

Explanation: BAL (British anti-lewisite, dimercaprol): It is used in arsenic, lead, bismuth, copper, mercury, gold and other heavy metal poisoning. Dose: 10% solution in oil, 3-5 mg/kg IM 4 hourly for 2 days, 6 hourly on 3rd day and then 12 hourly for next 10 days. Side effects: Nausea, vomiting, headache and hypertension. Contraindicated in liver damage, G-6-PD deficient individuals, and iron poisoning cadmium(since dimercaprol-cadmium and dimercaprol-iron complex is itself toxic).